Hemorrhagic conjunctivitis occurs with –a) Herpes zosterb) Herpes simplex c) Enterovirusd) Picornavirus
1. ab
2. cd
3. bd
4. ac

Correct answer: 2. cd